Which of the following is not a feature of depression:
1. Depressed mood
2. Loss of appetite
3. Hyperactivity
4. Suicidal ideas

Correct answer: 3. Hyperactivity

Explanation: Hyperactivity is not a common symptom of depression. Symptoms of Depression: SWAG (suicidality, weight loss, anhedonia, guilt) symptom Sadness, hopelessness, helplessness, low self-esteem Reduced energy and motivation Anxiety Sleep problems (wakes frequently at night and too early in the morning) Cognitive problems (has difficulty with memory and concentration) Change in physical activity (has psycho-motor retardation or agitation) Decreased or increased (in atypical depression) appetite for food and sex Poor grooming Diurnal variation in symptoms (worse in the morning, better in the evening) Suicidal ideation Suicide Psychotic symptoms